Suture present between parietal & occipital bones is
1. Lambdoid suture
2. Saggital suture
3. Coronal suture
4. Metopian suture

Correct answer: 1. Lambdoid suture

Explanation: The lambdoid suture lies between the occipital bone and the two parietal bones. Sutural bones are common along this suture. Lambdoid sutures are usually visible clearly. The lambdoid suture traverses the posteriormost part of the skull. Ref: BD Chaurasia's HUMAN ANATOMY, Volume 3, 4th edition.